Creatinine Clearance test is used to assess:
1. Glomerular Filtration
2. Proximal Tubulr Function
3. Distal Tubular Function
4. Renal Plasma Flow

Correct answer: 1. Glomerular Filtration

Explanation: Answer is A (Glomerular Filtaration): Creatinine Clearance is used to assess Glomerular function or the Glomerular Filtration Rate. Creatinine in serum is the end product of endogenous muscle breakdown. Creatinine is comptetely filtered by the glomerulus and neither significantly absorbed nor significantly secreted into the tubules and hence for clinical purpose creatinine clearance is the most commonly used test to assess Glomerular function. Estimation of Glomerular Function Creatinine Clearance Tests Inulin Clearance testy (used to assess Glomerular Filtration Rate- GFR) Estimation of tubular function Water Deprivation Test (used to assess Distal Tubular Function) Estimation of Renal Blood Flow/ Renal Plasma Flow Paraaminohippurate (PAH) clearance (used to assess Renal Plasma Flow -RPF)